Pleomorphic rash is a feature of -
1. Chicken pox
2. Small pox
3. Erythema infectiosum
4. Erythema subitum

Correct answer: 1. Chicken pox

Explanation: Ans. is 'a' i.e., Chicken pox